Which of the following can result in oral contraceptive failure:
1. Valproate
2. Rifampicin
3. NSAIDs
4. Ethambutol

Correct answer: 2. Rifampicin

Explanation: Rifampicin can result in failure of oral contraceptives due to its enzyme-inducing property.